Traumatic iridodialysis may cause:
1. Antiflexion of the iris
2. Retroflexion of the iris
3. Iridoplegia
4. All of the above

Correct answer: 1. Antiflexion of the iris

Explanation: Ans. Antiflexion of the iris